What is the COMMONEST complication of CSOM?
1. Subperiosteal abscess
2. Mastoiditis
3. Brain abscess
4. Meningitis

Correct answer: 2. Mastoiditis

Explanation: Mastoiditis is the most common complication of CSOM. Acute mastoiditis usually accompanies or follows acute suppurative otitis media. Complications of otitis media are classified into two main groups: A.Intratemporal: Mastoiditis Petrositis Facial paralysis Labyrinthitis B.Intracranial: Extradural abscess Subdural abscess Meningitis Brain abscess Lateral sinus thrombophlebitis